Not a vessel wall condition leading to bleeding ?
1. Henoch-schonleinpurpura
2. Autoimmune thrombocytopenic purpura
3. Cushing's syndrome
4. Scurvy

Correct answer: 2. Autoimmune thrombocytopenic purpura

Explanation: Ans. is `b' i.e., Autoimmune thrombocytopenic purpuraBleeding disorders caused by vessel wall abnormalities are as follows :Infections: meningococcemia, rickettsiosesDrug induced leukocytoclasticvasculitisScurvy, EhlerDanlos syndrome, Cushing's syndromeHenoch-SchonleinpurpuraHereditary hemorrhagic telangiectasia (Weber-Osler-rendu syndrome) Perivascular amyloidosisNote : Autoimmune thrombocytopenic purpura is a bleeding disorder primarily caused due to thrombocvtopenia.